The transporter gene defective in Hartnup's disease:
1. SLC 6A 19
2. SLC 6A 18
3. SLC 36 A2
4. SLC 7A7

Correct answer: 1. SLC 6A 19

Explanation: Hartnup's disease is due to defective neutral amino acid transporter. The SLC6A19 is neutral amino acid transporter involved in the transport of neutral amino acids like tyrptophan. Tryptophan is the precursor of Niacin (vitamin B3) Hartnup'sdisease is associated with pellagra. Extra edge:- Soluble carrier family (SLC) proteins are transmembrane proteins involved in facilitated diffusion and secondary active transport. Nomenclature of SLC protein is: SLCnXm SLC stands for SoLuteCarrier n = an integer representing a family (e.g., 1-52) X = a single letter (A, B, C, ...) denoting a subfamily m = an integer representing an individual family member (isoform).